Pop corn calcification is a characteristic of
1. Sarcoidosis
2. TB
3. Pulmonary hamartoma
4. Metastasis

Correct answer: 3. Pulmonary hamartoma

Explanation: Pop corn calcification is characteristic of pulmonary hamartoma.